Lead time is:
1. Time from early diagnosis to starting treatment
2. Time from treatment to mortality
3. Time between detection of disease through screening and its clinical symptoms
4. Time between clinical symptom to complete treatment

Correct answer: 3. Time between detection of disease through screening and its clinical symptoms

Explanation: Ans. (c) Time between detection of disease through screening and its clinical symptomsRef: K. Park 23rd ed. / 99-100* Lead time is the length of time between the detection of a disease and its usual clinical presentation and diagnosisOR* It is the time between early diagnosis with screening, and when diagnosis would have been made without screening.